Which of the following drug is not used in the treatment of bronchial asthma :
1. β2 agonists
2. Corticosteroids
3. Cholinesterase inhibitors
4. Phosphodiesterase inhibitors

Correct answer: 3. Cholinesterase inhibitors